All of the following are the criteria for overcrowding except:-
1. Per capita space if <70-90 ft2/person
2. If >1 persons/room
3. If sex separation is absent
4. 2 people of opposite sex >9 years & not husband and wife are made to sleep in 1 room

Correct answer: 2. If >1 persons/room

Explanation: Housing: Overcrowding criteria:- Per capita space if <70-90 ft 2 /person If >2 persons/room If sex separation is absent i.e. when 2 people of opposite sex >9yrs & not husband and wife are made to sleep in 1 room Persons per room 1 room 2 persons 2 rooms 3 Persons 3 rooms 5 Persons 4 rooms 7 Persons 5 or more 10 persons (additional 2 for each further room)